To obtain true conjugate, the following factor should be substracted from the diagonal conjugate :
1. 0.5 cm
2. 1.2 cm
3. 2.5 cm
4. 3.0 cm

Correct answer: 2. 1.2 cm

Explanation: 1.2 cm